Krukenberg's spindle seen in patients with pigmentary glaucoma refers to deposition of pigment on
1. Trabecular meshwork
2. Back of cornea
3. Anterior surface of the lens
4. None of the above

Correct answer: 2. Back of cornea

Explanation: PIGMENTARY GLAUCOMA It is a type of secondary open-angle glaucoma where in clogging up of the trabecular meshwork occurs by the pigment particles. About 50% of patients with the pigment dispersion syndrome develop glaucoma . Clinical features: The condition typically occurs in young myopic males. Characteristic glaucomatous features are similar to primary open angle glaucoma (POAG), associated with deposition of pigment granules in the anterior segment structures such as iris, posterior surface of the cornea (Krukenberg's spindle), trabecular meshwork, ciliary zonules and the crystalline lens. Gonioscopy shows pigment accumulation along the Schwalbe's line especially inferiorly (Sampaolesi's line). Iris transillumination shows radial slit-like transillumination defects in the mid periphery (pathognomonic feature). Treatment: It is exactly on the lines of primary open angle glaucoma. Ref:- A K KHURANA; pg num:- 234